Most retentive post among the following:
1. Smooth tapered
2. Serrated tapered
3. Smooth parallel
4. Serrated parallel

Correct answer: 4. Serrated parallel

Explanation: Parallel-sided posts may distribute stress more evenly than tapered posts, which may have a wedging effect.
Serrated are more retentive than smoother surface.